Golden S is seen in
1. Left upper lobe collapse
2. Pleural Effusion
3. Left lower lobe collapse
4. Bronchogenic carcinoma

Correct answer: 4. Bronchogenic carcinoma

Explanation: Golden "S" sign is a Reverse "S" sign seen on Frontal Chest Radiograph In patients with Bronchogenic Ca with Right Upper lobe collapse Lower convexity of the Reverse S is due to the mass Upper concavity of the "S" is due to Right UPPER LOBE atelectasis with the upward shifting of the horizontal fissure.